Dental Aesthetic Index (DAI) was developed by:
1. Naham C. Cons, Joanna Jenny, and Frank J. Kohout
2. Harry Draker
3. Grainger R.M.
4. R.R. Lobene, T. Weather-ford, N.M. Ross, R.A. Lamm, and L. Menaker

Correct answer: 1. Naham C. Cons, Joanna Jenny, and Frank J. Kohout

Explanation: DENTAL AESTHETIC INDEX (DAI):
The Dental Aesthetic Index (DAI) was developed by Naham C. Cons, Joanna Jenny, and Frank J. Kohout in 1986 to assess orthodontic treatment need. It is an orthodontic index based on socially deﬁned aesthetic norms.
Orthodontics: Diagnosis of & Management of Malocclusion & Dentofacial Deformities
O.P. Kharbhanda  second edition